post dural (Spinal) puncture headache is due to:
1. Seepage of CSF
2. Fine needle
3. Toxic effects of the drugs
4. Traumatic damage to nerve roots

Correct answer: 1. Seepage of CSF

Explanation: Headache is due to of CSF and can be treated with analgesics. Post-dural-puncture headache (PDPH) is a complication of puncture of the dura mater (one of the membranes that surround the brain and spinal cord). ... It is a common side-effect of spinal anesthesia and lumbarpuncture. From padmaja 4th edition Page no 205